I- brush is used In case of
1. Gingival recession
2. Peri-implantitis
3. Post periodontal surgery
4. For regular cleaning of teeth

Correct answer: 2. Peri-implantitis